Hemolysis in G6PD may be caused by all, expect:
1. Primaquine
2. Chloroquine
3. Pyrimethamine
4. Quinine

Correct answer: 3. Pyrimethamine

Explanation: Pyrimethamine does not causes hemolysis in G6PD deficiency. Ref: Harrison's Principles of Internal Medicine, 16th Edition, Page 611; Principles and Practice of Hematology By Robert I. Handin, Samuel E. Lux. Thomas P. Stossel, Page 1936